Scaling and root planning is performed
1. As initial treatment
2. Post surgically
3. In only gingival enlargements
4. after only antibiotics

Correct answer: 1. As initial treatment